Systemic Millary TB spreads
1. Artery
2. Vein
3. Bronchus
4. Lymphatic

Correct answer: 1. Artery

Explanation: . Ans. is 'a' i.e., Artery